A woman assaulted by neighbour was brought to you in the emergency department with fractures of middle tooth. Injury was extended medially to the mouth and there was also contusion to bilateral leg. What is the nature of this injury?
1. Grievous injury
2. Simple injury
3. Dangerous injuries
4. Assault

Correct answer: 1. Grievous injury

Explanation: The synopsis of forensic medicine & toxicology;Dr k.s narayan reddy ;28th edition; pg.no. 155; As there is fracture of tooth ,injury extending medially to mouth &contusion on leg which causes severe body pain ,it is a grievous hurt.